A 25 year old man with congenital cyanotic heart disease reports to emergency with history of headache. On examination there is systolic murmur best heard on the left side of the sternum in the fourth intercostal space; the second sound is not split. Temperature is 37.5degC. What is most likely diagnosis -
1. Cortical vein thrombosis
2. Pyogenic septicemia
3. Cerebral abscess
4. Encephalitis

Correct answer: 3. Cerebral abscess

Explanation: Ans. is 'c' i.e., Cerebral abscess Brain abscess is frequent complication of cyanotic congenital heart disease, TOF.